Site of central of circadian rhythm is-
1. Supraoptic nucleus
2. Paraventricular nucleus
3. Suprachiasmatic nucleus
4. Premamillary nucleus

Correct answer: 3. Suprachiasmatic nucleus

Explanation: Ans. is 'c' i.e., Suprachiasmatic nucleus * Suprachiasmatic nucleus of hypothalamus regulates circadian rhythms.